You are performing a breast examination in the surgery clinic. In addition to the breast tissue examination, what other region is critical to complete the palpation of mammary tissue?
1. Supraclavicular region
2. Subclavicular region
3. Axillary region
4. Interscapular region

Correct answer: 3. Axillary region

Explanation: This is not an examination of lymph node. The tail of Spence is located in the axillary area and contains mammary tissue.The axillary tail of Spence extends laterally across the anterior axillary fold. The upper outer quadrant of the breast contains a greater volume of tissue than do the other quadrants. The breast has a protuberant conical form. The base of the cone is roughly circular, measuring 10 to 12 cm in diameter. Ref: Hunt K.K., Newman L.A., Copeland E.M., Bland K.I. (2010). Chapter 17. The Breast. In F.C. Brunicardi, D.K. Andersen, T.R. Billiar, D.L. Dunn, J.G. Hunter, J.B. Matthews, R.E. Pollock (Eds), Schwartz's Principles of Surgery, 9e.